Septal perforation is not seen in -
1. Septal abscess
2. Leprosy
3. Rhinophyma
4. Trauma

Correct answer: 3. Rhinophyma